Poor prognosis of schizophrenia is seen in?
1. Female sex
2. Presence of depression
3. Acute onset
4. Predominance of negative symptoms

Correct answer: 4. Predominance of negative symptoms

Explanation: Ans. is 'd' i.e. Predominance of negative symptoms Prognostic factors for schizophreniaGood Prognostic FactorsPoor Prognostic Factors1. Acute or abrupt onset2. Onset > 35 years of age (late onset)3. Presence of precipitating stressor4. Good premorbid adjustment5. Catatonic subtype (Paranoid subtype has an intermediate prognosis)6. Short duration (< 6 months)7. Presence of depression8. Predominance of positive symptoms9. Family history of mood disorder10. First episode11. Pyknic (fat) physique12. Female sex13. Married14. Good social support15. Presence of confusion, perplexity, or disorientation in the acute phase16. Proper treatment, good treatment compliance, and good response to treatment17. Outpatient treatment18. Normal cranial CT scan1. Insidious onset2. Onset < 20 years of age (early onset)3. Absence of stressor4. Poor premorbid adjustment5. Disorganized, simple, undifferentiated, or chronic catatonic subtypes6. Chronic course (> 2 years)7. Absence of depression8. Predominance of negative symptoms9. Family history of schizophrenia10. Past history of schizophrenia11. Asthenic (thin) physique12. Male sex13. Single, divorced14. Poor social support15. Flat or blunted affect16. Absence of proper treatment or poor response to treatment17. Institutionalization (long term hospitalization)18. Evidence of ventricular enlargement on cranial CT scan